Trypanosoma cruzi grows in which of the following medium
1. NNN medium
2. Weinman's medium
3. Boeack diphasic medium
4. Diamonds medium

Correct answer: 1. NNN medium

Explanation: Trypanosoma cruzi grows on NNN medium incubated at 22 to 24 degree centigrade and subcultured every 1 to 2 weeks. Centrifuged material is examined for trypanosomes The NNN (Novy-McNeal-Nicolle), medium -also used for isolation of Leishmania Ref: D.R. Arora. Medical parasitology 4th ed pg. 65